Malignancy is typically associated with disordered differentiation and mutation .which of the following mentioned options best describes anaplasia
1. Hepatic tumor cells synthesizing bile
2. Skin tumor cells producing keratin pearls
3. Bronchial epithelial cells producing keratin pearls
4. Muscle tumor cells forming giant cells

Correct answer: 4. Muscle tumor cells forming giant cells

Explanation: Neoplastic cells may be. Similar to normal cells found in the tissue of origin, which defines the malignancy as well differentiated or low grade. Alternatively the neoplastic cells may lack most of the characteristics of normal cells found in the tissue of origin ,which defines the malignancy as poorly differentiated or high grade . Tumor that contain neoplastic cells in the midst of this spectrum are termed moderately differentiated or medium grade.anaplastic means complete lack of differentiation